Premalignant conditions of stomach include all, Except:
1. Gastric ulcer
2. Pernicious anemia and achlorhydria
3. Hiatus Hernia
4. Atrophic gastritis

Correct answer: 3. Hiatus Hernia

Explanation: Answer is C (Hiatus Hernia): Hiatus Hernia is not considered a premalignant lesion for gastric carcinoma. Premalignant lesions for Gastric Adenocarcinoma Chronic Atrophic Gastritis (H. pylori > Pernicious Anemia) Intestinal Metaplasia Type II and Type III (Intestinal Metaplasia type 1 is not associated with increased risk) Gastric Dysplasia Gastric polyps (Adenomatous polyps) (Hyperplastic polyps are generally not considered premalignant as the rate of malignant transformation in these polyps is <1% and confined to polyps > lcm) Previous Gastrectomy Menetrier's Disease Gastric ulcers (long standing gastric ulcers : Low risk)